A patient with rheumatic heart disease has PPH. Which of the following drugs is contraindicated?
1. Mifepristone
2. Methylergometrine
3. Oxytocin
4. Carboprost

Correct answer: 2. Methylergometrine

Explanation: Methylergometrine (Methergine) can be used in treatment of PPH. Absolute contraindications: 1. Heart disease in pregnancy. Hereafter the delivery of the placenta, almost 1000 ml of blood from the uterus goes back into the maternal circulation and this is a considerable load on an already weak heart . If Methylergometrine is used, then this extra blood is shifted much more rapidly to the systemic circulation casing a heart failure and a resultant Pulmonary Edema. 2. Chronic hypertension/preeclampsia/eclampsia.. similar reason i.e. too much blood into already hyperdynamic hypeesnive circulation. 3. After the delivery of the first baby of the twins. (It can be given after second baby delivery of twin.) 4. Rh iso immunization Hence, if the patient has a heart disease and develops PPH, methergine is absolutely contraindicated as it can cause heart failure.